Left sided sixth nerve palsy would lead to -
1. Accommodation paresis of left eye
2. Ptosis of left eye
3. Adduction weakness of left eye
4. Diplopia in left gaze

Correct answer: 4. Diplopia in left gaze

Explanation: Left sided 6th nerve palsy lead to diplopia in left sided gaze. The abducens nerve is a nerve that controls the movement of the lateral rectus muscle in humans, responsible for outward gaze. It is also known as the abducent nerve, the sixth cranial nerve, sixth nerve Ref khurana 6/e